Which of the following is Homopolysaccharide of Fructose?
1. Chitin
2. Dextran
3. Inulin
4. All of the above

Correct answer: 3. Inulin

Explanation: Inulin also called Fructosan is Homopolysaccharide of fructose in β2 → 1 linkage.